which of the following class antidepressent used in the management of smoking sessation
1. SSRI
2. MAOI
3. NDRI
4. RIMA

Correct answer: 3. NDRI

Explanation: NDRI * IMPOANCE Anti-depressant which does not deal with serotonin neurotransmission Also called as Zyban * MECHANISM Prevents reuptake of nor adrenaline and dopamine * DRUGS Bupropion * USE ADHD SMOKING CESSATION HYPOACTIVE SEXUAL DESIRE DISORDER * SIDE EFFECTS seizures Ref. kaplon and sadock, synopsis of psychiatry, 11 th edition, 955